Enzyme replacement therapy is available for which of the following disorders ?
1. Gaucher's disease
2. Niemann Pick disease
3. Mucolipidosis
4. Metachromatic leukodystrophy

Correct answer: 1. Gaucher's disease